In Ampicilline & Amoxycilline, Amoxycilline is better due to
1. Better bioavailobility in taken with foods
2. Lesser bioavailability in taken with foods
3. Incidence of diarrhoea is higher
4. More active against Shigella and H. influenza

Correct answer: 1. Better bioavailobility in taken with foods

Explanation: (Better bioavailability in taken with foods) (700-701-KDT 6th)AMOXYCILLINE - is close congener of ampicillin (but not a pro drug) similar to it in all respects EXCEPT* Oral absorption is better, food does not interfere with absorption; higher and more sustained blood levels are produced* Incidence of diarrhoea is lower* It is less active against Shigella and H. influenza.